The following is not a feature of malignant transformation by cultured cells-
1. Increased cell density
2. Increased requirement for growth factors
3. Alterations of cytoskeletal structures
4. Loss of anchorage

Correct answer: 2. Increased requirement for growth factors

Explanation: Malignant transformation is the process by which cells acquire the properties of cancer. This may occur as a primary process in normal tissue, or secondarily as malignant degeneration of a previously existing benign tumor. Causes of malignant transformation There are many causes of primary malignant transformation, or tumorigenesis. Most human cancers in the United States are caused by external factors, and these factors are largely avoidable.